A 60-year-old woman presents for evaluation for chronic diarrhoea associated with faecal urgency. No fever, melena, haematochezia, abdominal pain, nausea, vomiting or weight loss. Diarrheal persists even during periods of fasting. Random colonic biopsies demonstrate mononuclear cell infiltration of the lamina propria and a thickened subepithelial collagen band as shown below. What is the most likely diagnosis?
1. Crohn disease
2. Ulcerative colitis
3. Microscopic colitis
4. Irritable Bowel Syndrome

Correct answer: 3. Microscopic colitis

Explanation: The HPE images shows Microscopic colitis Chronic inflammatory disease of the colon Characterized by chronic, watery, non-bloody diarrhoea. Occurs in middle-aged patients Female preponderance. The colon appears typically normal or almost normal on colonoscopy The diagnosis is established by biopsy of the colonic mucosa demonstrating characteristic histologic changes. Microscopic colitis has two main histologic subtypes, lymphocytic colitis and collagenous colitis. Microscopic colitis has also been associated with several other diseases with autoimmune background (e.g., autoimmune thyroiditis, type 1 diabetes mellitus, and nonerosive, oligoarticular arthritis).